Feature (s) of Taenia capitis is/are all except:
1. May presents as a boggy swelling
2. Most commonly occurs in elderly
3. May present as black dot
4. Caused by trichophyton & microsporum but not by epidermophyton

Correct answer: 2. Most commonly occurs in elderly

Explanation: Ans: (B) Most commonly occurs in elderly.T.capitis: Caused by microsporum any species cf. Trichophyton most species-Ananthanarayan 8th/606, Tinea capitis is dermatophytosis or ringworm of the scalp and hair. Age: Invariably a child.the chief cause of "black dot" Tinea capitis, produces spores within the hair shaft (endothrix). These hairs do not fluoresce; they are weakened and typically break easily at the follicular opening. In prepubescent children, epidemic tinea capitis is usually self-limiting.